Gorlin's syndrome is
1. Squamous cell carcinoma
2. Basal cell carcinoma
3. Satrcoma
4. Guttate psoriasis

Correct answer: 2. Basal cell carcinoma

Explanation: Gorlin's syndrome is nevoid basal cell carcinoma, inherited in an autosomal dominant manner. Gorlin syndrome, also known as nevoid basal cell carcinoma syndrome, is a condition that affects many areas of the body and increases the risk of developing various cancerous and noncancerous tumors. It is characterized by multiple BCC occurring all over the body predominately over the exposed areas. Highly characteristic Facies-large forehead, bifid ribs, pits of palms and soles, dysgenesis of the corpus callosum, calcification of falxcerebri . However, people with Gorlin syndrome are very sensitive to radiation and radiotherapy can make skin cancers more likely to develop in the treatment area. Treatment for basal cell skin cancers includes imiquimod cream, photodynamic therapy, retinoids - chemicals similar to vitamin A. Ref Harrison 20th edition pg 1234